Ezetimibe acts on ?
1. LPL
2. PPAR
3. NPC ILI
4. HMG-CoA reductase inhibitor

Correct answer: 3. NPC ILI

Explanation: Ans. is 'c' i.e., NPC1LI